A 13-year-old boy attends the surgery without an adult accompanying him. He has a sore throat. Legally, a general practitioner must:
1. Examine and prescribe as appropriate
2. Refuse to see him unless a responsible adult is present
3. Write to the parent asking them to come to the surgery
4. Examine but not prescribe

Correct answer: 1. Examine and prescribe as appropriate

Explanation: Ans. Examine and prescribe as appropriate